Melanopsin is present in
1. Cones
2. Rods
3. Amacrine cell
4. Ganglion cells

Correct answer: 4. Ganglion cells

Explanation: Ganglion cells that mediate pupillary constriction and circadian rhythms are light sensitive, owing to a novel visual pigment, melanopsin.